A child Mahesh has been diagnosed to be having vitamin D dependent rickets. The most appropriate vitamin D preparation for him is:
1. Calciferol
2. Cholecalciferol
3. Calcifediol
4. Calcitriol

Correct answer: 4. Calcitriol

Explanation: (Ref: KDT 6/e p390) Most active vitamin D preparation is calcitriol.